Which one of the following needs cholesterol and other lipids for growth -
1. Mycobacterium TB
2. Chlamydia
3. Hemophilus
4. Mycoplasma

Correct answer: 4. Mycoplasma

Explanation: Ans. is 'd' i.e., Mycoplasma . Unique among prokaryotes is the requirement of most mycoplasma for cholesterol and related sterols, which are incorporated in their surface membrane.